In which of the following, Koebner phenomenon is NOT seen –
1. Lichen planus
2. Lichen sclerosis
3. Erythema multiforme
4. Lichen simplex chronicus

Correct answer: 4. Lichen simplex chronicus